Phenol coefficient indicates:
1. Efficacy of a disinfectant
2. Dilution of a disinfectant
3. Quantity of a disinfectant
4. Purity of a disinfectant

Correct answer: 1. Efficacy of a disinfectant

Explanation: Ans. is 'a' i.e., Efficacy of a disinfectant Phenoliccoefficientofatestdisinfectant=PhenolthatkillsS.Typhiinagivensametime (Highestdilution)DisinfectantthatkillsS.typhiinagiventime (Highestdilution)